Hypovitaminosis D causes –
1. Zonular cataract
2. Blue – Dot cataract
3. Rosette cataract
4. Cupuliform cataract

Correct answer: 1. Zonular cataract

Explanation: Hypocalcaemia (Hypoparathyroidism, hypovitaminosis D) causes zonular (lamellar) cataract.